Hydroquinone is added to methyl methacrylate
monomer
1. To prevent polymerization during storage
2. To initiate release of free radicals
3. To enable polymerization reaction at room temperature
4. All of the above

Correct answer: 1. To prevent polymerization during storage